Which of the following is true about DNA Polymerase III?
1. It forms Okazaki fragments and it needs RNA primer
2. It is needed for translation
3. Bacteria can function without it
4. Has DNA repair function

Correct answer: 1. It forms Okazaki fragments and it needs RNA primer

Explanation: Ans. A. It forms Okazaki fragments and it needs RNA primer(Ref: Harper 31/e page 363)Translation do not require DNA Polymerase. DNAP I and II are having DNA Repair activity.